Preformed toxin is important in food poisoning due to all EXCEPT -
1. Staph aureus
2. Clostridium botulism
3. ETEC
4. B.cereus

Correct answer: 3. ETEC

Explanation: Ans. is 'c' i.e., ETEC (Enterotoxigenic E.coli) Preformed toxin causes food poisoning .Staph aureus . Bacillus cereus . Clostridium botulism. . Clostridium perfringens